A pregnant woman from bihar presents with hepatic encephalopathy. The likely diagnosis -
1. Hep. E
2. Hep. B
3. Sepsis
4. Acute fatty liver of pregnancy

Correct answer: 1. Hep. E

Explanation: A unique feature of HEV is it cause serious disease in pregnant women REF:ANANTHANARYANAN TEXTBOOK OF MICROBIOLOGY 9EDITION PGNO.550